Mycetoma is caused by the following agents except?Allescheria boydii
1. Allescheria boydii
2. Madurella mycetomii
3. Trichosporum beigelli
4. Nocardia asteroides

Correct answer: 3. Trichosporum beigelli

Explanation: Ans. is 'c' i.e., Trichosporum beigelli